A newborn of 7 days old presented with meningitis. Most common cause –a)  E.colib)  Streptococcal pneumoniac)  N. Meningitisd)  Streptococcal agalactiae
1. b
2. c
3. ac
4. ad

Correct answer: 4. ad

Explanation: Group B streptococcus followed by E.coli are the two most common causes of neonatal meningitis.___ Nelson
Note -


For exams like AIIMS & AI, where only one options is correct, streptococcus agalactiae (group B streptococcus) is best answer.